In a patient with bronchial asthma silent chest signifies
1. Good Prognosis
2. Bad Prognosis
3. Grave Prognosis
4. Not a Prognostic sign

Correct answer: 3. Grave Prognosis

Explanation: Ans. is 'c' i.e., Grave Prognosis Silent chest (Little/no air movement without wheezes in Bronchial Asthma suggests a grave prognosis/impending respiratory failure (Life threatening Asthma). Signs of impending respiratory failure include : Drowsiness or confusion Diaphoresis Bradycardia Paradoxical thoraco abdominal Signs of impending respiratory failure in Asthma Drowsiness or confusion Diaphoresis Bradycardia Paradoxical thracoabdominal movements PEFR < 33% Hypotension Pulsus paradoxus Hypercapnea Silent chest